Patient develops vomiting episodes and extreme muscle weakness. Cause is?
1. Hypokalemia
2. Hyponatremia
3. Hypophosphatemia
4. Hypomagnesemia

Correct answer: 1. Hypokalemia

Explanation: Vomiting - Dehydration - Low GFR - stimulate RAAS mechanism- | Aldosterone | (Hypokalemic Alkalosis) Hypokalemia- Muscle weakness (Diaphragmatic paralysis) Hyponatremia - Seizures Hypomagnesemia - Tetany